Most common type of skin carcinoma on face, in light skinned, is:
1. Squamous cell carcinoma
2. Basal cell carcinoma
3. Bowen's disease
4. Erythroplasia of Queyrat

Correct answer: 2. Basal cell carcinoma

Explanation: Ans. B i.e. Basal cell carcinoma In darkly pigmented racial groups, squamous cell carcinoma is the MC skin malignancy Skin tumours Basal cell carcinoma does not show lymphatic spread Conditions predisposing to Squamous cell carcinoma: - Actinic keratosis, - DLE Basal cell carcinoma MC site of BCC: Face MC type of BCC: Nodulo-ulcerative type Mode of spread: Direct Excision procedure done: Moh's micrographic excision